The best method of sterilizaion of dusting powder is?
1. Autoclaving
2. Hot air oven
3. Inspissation
4. Tyndallisation

Correct answer: 2. Hot air oven

Explanation: Ans. is 'b' i.e., Hot air oven